Rosette cataract is seen in -
1. Blunt trauma
2. Diabetes
3. Galactosemia
4. Congenital Rubella

Correct answer: 1. Blunt trauma

Explanation: Ans. is 'a' i.e., Blunt trauma o Repeat from previous sessions.